Treatment of choice for nasal synachiae ?
1. Surgical removal of adhesions
2. Topical mitomycin
3. Nasal stent
4. None of the above

Correct answer: 1. Surgical removal of adhesions

Explanation: Ans. is'a'i.e., Surgical removal of adhesionsRemoval of adhesion is the procedure of choice for nasal synechiae.